Wof anti diabetic agent is used in both type 1 and type 2 dibetes
1. Voglibose
2. Linagliptin
3. Pramlintide
4. None of the above

Correct answer: 3. Pramlintide

Explanation: Amylin:- also called 'islet amyloid polypeptide' (IAP), is produced by pancreatic b cells and acts in the brain to reduce glucagon secretion from a cells, delay gastric emptying, retard glucose absorption and promote satiety. Pramlintide:- It is a synthetic amylin analogue which on s.c. injection before meal attenuates postprandial glycaemia and exerts a centrally mediated anorectic action. The duration of action is 2-3 hours. It has been used as an adjuvant to meal time insulin injection to suppress the glycaemic peak in both type 1 and type 2 diabetics. Reduction in body weight is an additional benefit. Ref:- kd tripathi; pg num:-277,278